Vegetable viper snake poison is -
1. Croton
2. Madar
3. Abrus
4. Semicarpus

Correct answer: 3. Abrus

Explanation: Abrus precatorius seed is odourless, tasteless, oval (egg shaped), bright scarlet coloured with a black spot at one pole and contain abrin, a toxalbumin as its active principle, which is similar to viper snake venom.